Stimulation of which of the following areas of brain is experimentally used to control intractable pain:
1. Periaqueductal grey matter
2. Mesencephalon
3. Subthalamic nucleus
4. Medial forebrain bundle

Correct answer: 1. Periaqueductal grey matter

Explanation: Ans. a. Periaqueductal grey matter (Ref: Ganong 22/e p260, 261) Stimulation of Periaqueductal grey matter (PAG) is an established experimental therapy reserved for intractable somatogenic and/or noceceptive pain that remains poorly controlled despite all conservative measures. Deep Brain Stimulation for Intractable Pain Periaqueductal Grey Matter (PAG)/ Periventricular Grey Matter (PVG) Deep Brain Stimulation Sensory Thalamic Deep Brain Stimulation * PAG/PVG deep brain stimulation has shown to maximally benefit patients with intractable somatogenic and nociceptive painQ * Sensory thalamic deep brain stimulation has shown to maximally benefit patients with intractable neuropathic painQ Scientific evidence demonstrating safety and efficacy is however, not robust to support widespread use of Deep brain Stimulation for the treatment of intractable pain.